Removal of 7/7 in preference is indicated to
1. Mild class II div. 1 cases
2. In adult patients
3. When 8/8 are congenitally absent
4. When 6/6 are inclined distally

Correct answer: 1. Mild class II div. 1 cases